Growth hormone increases all of the following except:
1. Blood glucose concentration
2. Blood free fatty acid concentration
3. Protein synthesis
4. Metabolism of carbohydrates

Correct answer: 4. Metabolism of carbohydrates

Explanation: GH results in the conservation of carbohydrates Ref: guyton and hall textbook of medical physiology 12 edition page number:551,552,553